Trendelenberg position produces decrease in all of the following except –
1. Vital capacity
2. Functional residual capacity
3. Compliance
4. Respiratory rate

Correct answer: 4. Respiratory rate

Explanation: Cephalad shift of abdominal viscera in trendelenberg position produces marked decrease in lung capacities (VC, FRC, TLC, Lung compliance).